The 'String of beads or sausage appearance' of the renal artery is due to:
1. Fibromuscular hyperplasia
2. Subadventitial fibroplasia
3. Medial fibroplasia with aneurysm
4. Outercoat fibroplasia with aneurysm

Correct answer: 3. Medial fibroplasia with aneurysm

Explanation: In medial fibroplasia, there is a characteristic 'string of sausages' appearance produced by stenotic segments where the media is replaced by collagen, with intervening aneurysms at the site of medial weakening. Medial fibroplasia typically involves the distal two-thirds of the renal artery and may also affect segmental arteries within the kidney. Ref: Diagnostic Radiology : Advances in Imaging By Manorama Berry, Veena Chowdhury, Sudha Suri, 2000, Page 250.